Vagal stimulation of the heart causes
1. Increased heart rate
2. Increased R-R interval in ECG
3. Increased force of heart contraction
4. Increased cardiac output

Correct answer: 2. Increased R-R interval in ECG

Explanation: The right and left vagus nerves in the neck region were exposed by dissection, and bipolar, multiturn, helical, silicone leads were wrapped around the vagus nerves. Stimulation was applied by an external device with multivariable settings: frequency 10-100 Hz, pulse duration 100-700 usec; delay 0-0.5 msec; current 0.5-14 mA. Measurements were performed under normal sinus rhythm (RR-interval 501 +- 30 msec) and during isoprenaline-induced tachycardia (RR-interval 284 +- 11 msec). Results. VNS, under optimal pacing conditions (100 Hz; 5 mA; 0.2 msec; 70 msec delay), in an electrocardiogram-triggered (ECG-triggered) pacing mode, increased RR-intervals by approximately 40%, irrespective of the duration of the RR-interval preceding VNS.